Soft exudates are found in:
1. DM
2. HTN
3. Toxemia
4. All

Correct answer: 4. All

Explanation: Ans. All